Which of the following is essentially an excisional procedure of the gingiva?
1. Modified widman flap
2. Undisplaced flap
3. Apically displaced flap
4. Papilla preservation flap

Correct answer: 2. Undisplaced flap